All are complications of gall stones except: (Repeat)
1. HepatocellularCa
2. Acute cholangitis
3. Mucocele
4. Empyema of gallbladder

Correct answer: 1. HepatocellularCa

Explanation: Ans: A (Hepatocellular Ca) Ref: Bailey and Love's Short Practice of Surgery 25lh Edition & Schwartz, 's Principles of Surgery, 9th EditionExplanation:Complications of Gall StonesAcute and chronic cholecystitisJaundiceMucocele of GBEmpyema of GBGangrene of GBSepsisCa gallbladderCholangitisPancreatitisMirrizi syndrome: Biliary duct obstruction secondary to stone impaction in hartman's pouch of GBGallstone ileus